The most sensitive test to detect argemone oil is:
1. Paper chromatography
2. Nitric acid test
3. Nulgonda technique
4. Methylene blue reduction test

Correct answer: 1. Paper chromatography

Explanation: Ans: a (Paper chromatography) Ref: Park, 19th ed, 525* Paper chromatography is the most sensitive test for detecting argemone oil. Other test used for delecting argemone oil is nitric acid test.* Nalgonda technique is used fordeflouridation of water.* Methylene blue reduction test -it is an indirect test for detection of microorganisms in milk. This test is carried out on milk accepted for pasteurization.Epidemic dropsy:It is due to ingestion of mustard oil contaminated with argemone oil which contains sanguinarine. This disease occurs at all ages except breast fed infants.Clinical features of epidemic dropsy include swelling of legs, diarrhoea, and cardiac failure, glaucoma.The toxic substance interferes with the metabolism of pyruvic acid and leads to its accumulation.Diagnosed by Nitric acid test and paper chromatographyEndemic ascites:It is due to pyrrolizidine alkaloids in jhunjhunia seeds, which is hepatotoxic.